Maralgia paresthetica is not caused by-
1. Ascites
2. Alcohol consumption
3. Obesity
4. Pelvic surgery

Correct answer: 2. Alcohol consumption